Antenatal maternal HIV diagnosis is of importance in -
1. To prevent vertical transmission
2. To terminate
3. To discharge
4. To isolate the patient

Correct answer: 1. To prevent vertical transmission

Explanation: HIV infection can be transmitted from an infected mother to her fetus during pregnancy, during delivery, or by breastfeeding.
The relative proportions of mother-to-child transmissions were 23–30% before birth, 50–65% during birth, and 12–20% via breastfeeding.
Treatment of an HIV-infected mother with nevirapine during pregnancy and the infant during the first weeks following birth has proved very effective in dramatically decreasing mother-to-child transmission of HIV